All the following are TRUE about HCG except
1. Has luteotrophic action
2. Acts on the same receptors as LH
3. Secreted by cytotrophoblast
4. It is a glycoprotein

Correct answer: 3. Secreted by cytotrophoblast

Explanation: hCG is produced by syncytiotrophoblast of the placenta and secreted into the blood of both mother and fetus